Red infarct is seen in
1. Lungs
2. Spleen
3. Kidney
4. Heart

Correct answer: 1. Lungs

Explanation: Ans. a (Lung). (Ref. Robbin, Pathology 6th ed., 1308) Hemorrhagic/ Red infarctNonhemorrhagic/pale/ bland/anaemic infarct1Ovarian torsionHeart2LungSpleen3Small intestineKidney